Which of the following aquaporin water channels is located on apical membrane of principal cells of the collecting duct
1. Aquaporin 1
2. Aquaporin 2
3. Aquaporin 3
4. Aquaporin 4

Correct answer: 2. Aquaporin 2

Explanation: Aquaporin 2 (AQP 2) water channels are located on the apical membrane.